Preganglionic fibres to the submandibular ganglion arise from?
1. Superior salivatory nucleus
2. Inferior salivatory nucleus
3. Nucleus of tractus solitaries
4. Nucleus ambiguous

Correct answer: 1. Superior salivatory nucleus

Explanation: Sensory root is from the lingual nerve. It is suspended by two roots of lingual nerve Sympathetic root is from the sympathetic plexus around the facial artery. This plexus contains postganglionic fibres from the superior cervical ganglion of sympathetic trunk. These fibres pass express through the ganglion and are vasomotor to the submandibular gland Secretomotor root is from superior salivatory nucleus through nervus intermedius chorda tympani which is abranch of cranial nerve VII. Chorda tympani joins lingual nerve.The parasympathetic fibres get relayed in the submandibular ganglion Ref BDC volume 3,sixth edition pg 310